Calculation of infant mortality rate doesn't include -
1. Stillbirth
2. Early neonatal deaths
3. Late neonatal deaths
4. Post neonatal deaths

Correct answer: 1. Stillbirth

Explanation: infant mortality rate is defined as the ratio of infant death registered in a given year to the total no of live birth registered in the same year usually expressed as a rate per 1000 live birth.